Carbapenem with maximum seizure risk is:-
1. Imipenem
2. Meropenem
3. Ertapenem
4. Doripenem

Correct answer: 1. Imipenem

Explanation: Carbapenems are synthetic Beta lactam antibiotic. Imipenem is compounded with cilastatin to protect it from metabolism by renal dehydropeptidase. Cilastatin is a dehydropeptidase inhibitor. High level of imipenem may provoke seizure, however other carbapenem like:- Meropenem Ertapenem Doripenem Are less likely to do so.